Neurogenic cause of dysphagia includes following except:
1. Multiple sclerosis
2. Tetanus
3. Parkinsons's disease
4. Tetany

Correct answer: 4. Tetany